Abductor of vocal cord:
1. Cricothyroid
2. Cricoarytenoid
3. Posterior cricoarytenoid
4. Lateral cricoarytenoid

Correct answer: 3. Posterior cricoarytenoid

Explanation: INTRINSIC MUSCLES OF RESPIRATION: (a) Acting on vocal cords * Abductors: Posterior cricoarytenoid * Adductors: Lateral cricoarytenoid Interarytenoid (transverse arytenoid) Thyroarytenoid (external part) * Tensors: Cricothyroid (Main tensor) Vocalis (internal part of thyroarytenoid) (b) Acting on laryngeal inlet * Openers of laryngeal inlet: Thyroepiglottic (part of thyroarytenoid) * Closers of laryngeal inlet: Interarytenoid (oblique part). Aryepiglottic (posterior oblique part of interarytenoids)